Which of the following drug is commonly used for narco analysis
1. Atropine sulfate
2. Scopolamine hydrochloride
3. Phenobarbitone
4. Morphine

Correct answer: 2. Scopolamine hydrochloride

Explanation: Refer psychiatry and law 447 Controlled administration of intravenous hypnotics to obtain information from subject who are unable or unwilling to provide it otherwise, known as narcoanalysis or narcosynthesis Drugs used for narcoanalysis are: Ethanol Scopolamine Temazepam Barbiturates like thiopentone and amobarbitol These drugs are also known as truth drug or truth serum Phenobarbitine is not used ,rather amobarbitol is used for narcoanalysis